Which is not a feature of pseudocyesis :
1. Amenorrhoea
2. Abdominal distension
3. Fetal heart sounds are audible
4. None

Correct answer: 3. Fetal heart sounds are audible

Explanation: Ans. is c i.e. Fetal heart sounds are audible Pseudocyesis : Phantom pregnancy / Spurious pregnancy / False pregnancy. Definition : It is a psychological disorder where the women has a false but firm belief that she is pregnant, although no pregnancy exists. Patient is often infertile and has an intense desire to have a baby. Patient presents with : * Cessation of menstruation. Enlargement of abdomen (due to deposition of fat). Secretions from breasts. palpable by the examiner. Fetal movement (actually intestinal movement). On examination felt and : no No fetal positive parts signs of pregnancy are found i.e. fetal heart sound is not heard, no fetal movement USG / pregnancy immunological tests are negative.